Disc herniation between L4 and L5 involves nerve root?
1. L2
2. L3
3. L4
4. L5

Correct answer: 4. L5

Explanation: Herniated disc involves nerve root of corresponding lower vertebral level. Herniated disc between Compressed nerve root C4 and C5 C5 C5 and C6 C6 C6 and C7 C7 L3 and L4 L4 L4 and L5 L5 L5 and S1 S1